The following are true of kala azar except.
1. Persistent hypergammaglobulinemia
2. Pancytopenia
3. Cancrum oris can occur
4. Full treatment prevents PKDL

Correct answer: 4. Full treatment prevents PKDL

Explanation: Ans. is 'd' i.e., Full treatment prevents PKDLPKDL is a cutaneous form of leishmaniasis that occurs in about 2-10% kala azar patients generally one or two years after completion of antimonial treatment. When the visceral infection disappears but the skin infections persists.